The first step on priority basis required in the management of status epilepticus is
1. i.v. Diazepam
2. Airway maintenance
3. i.v. Phenytoin
4. i.v. Phenobarbitone

Correct answer: 2. Airway maintenance

Explanation: (B) Airway maintenance